Henoch-Schonlein purpura is characterized by the deposition of the following immunoglobulin around the vessels
1. IgM
2. IgG
3. IgA
4. IgE

Correct answer: 3. IgA

Explanation: (C) IgA # In HENOCH-SCHONLEIN PURPURA Whatever the histologic lesions, the prominent feature by fluorescence microscopy is the deposition of IgA, sometimes with IgG and C3 in the mesangial region.> IgA is the antibody class most often seen in the immune complexes and has been demonstrated in the renal biopsies.